Itchy polygonal violaceous (itchy/prusitic) palpules seen rn
1. Psoriasis
2. Pemphigus
3. Lichen planus
4. Pitriasios rosea

Correct answer: 3. Lichen planus

Explanation: C. i.e. Lichen planus